Imbibition results in
1. Shorter cast
2. Larger cast
3. No change in cast dimension
4. Any of the above

Correct answer: 1. Shorter cast

Explanation: Imbibition leads to expansion of impression material which makes the impression material to occupy the empty space ; resulting in shorter cast.